Bullet changes it's direction by striking on some surface or object in
1. Ricochet bullet
2. Souvenir bullet
3. Rubber bullet
4. Hollow point bullet

Correct answer: 1. Ricochet bullet

Explanation: Ricochet bullet Bullet changes it's direction by striking on some surface or object. Ricochet occurs when it strikes on some intermediate objects before entering the body. Due to ricochet the bullet may be deformed and more superficially placed in the body. The external wound of entry will be larger, triangular or cruciate with irregular margins. The particles of the surface on which the bullet is deflected eg: paint, fibre, mud, etc. may be sticking on the bullet. Ref: FORENSIC MEDICINE AND TOXICOLOGY Dr PC IGNATIUS THIRD EDITION PAGE 141